In which of the following phases of clinical trials healthy normal human volunteers participate -
1. Phase I
2. Phase II
3. Phase III
4. Phase IV

Correct answer: 1. Phase I

Explanation: Ans. is 'a' i.e., Phase I oRT Phase I involves normal human volunteers.